Lipoxins belong to which family of chemical mediators of inflammation?
1. Kinin system
2. Cytokines
3. Chemokines
4. Arachidonic acid metabolites

Correct answer: 4. Arachidonic acid metabolites

Explanation: Lipoxins are derived enzymatically from arachidonic acid, an o-6 fatty acid. Lipoxins are formed when platelets interact with leukocytes. Lipoxin A4 (LXA4) and Lipoxin B4 (LXB4) are the two known lipoxins. They are generated by the action of platelet 12-lipoxygenase on neutrophil LTA4. Ref: Robbins Pathologic Basis of Disease 6tHedition, Page 69, 71,74